All of the following structures pierce the buccinator muscle except -
1. Parotid duct
2. Molar glands of the cheek
3. Buccal branch of facial nerve
4. Buccal branch of the mandibular nerve

Correct answer: 3. Buccal branch of facial nerve

Explanation: Structures piercing the buccinator are :-


Parotid duct
Buccal branch of mandibular nerve
Four or five molor mucous glands lying on the bucco-pharyngeal fascia around the parotid duct.